Bitot's spot prevalence as public health problem –
1. > 1%
2. > 2%
3. > 0.5%
4. None

Correct answer: 3. > 0.5%